Type I muscle fibers are
1. Red
2. Anerobic
3. Large
4. Glycolytic

Correct answer: 1. Red

Explanation: Type 1 muscle fibres are present in slow muscle. They are red muscles because have greater capillary network. (REF: TEXTBOOK OF MEDICAL PHYSIOLOGY GEETHA N, PAGE NO - 44)